Which of the following drug is contraindicated to control atonic hemorrhage in a preeclamptic woman?
1. Oxytocin
2. Misoprostol
3. Methylergonovine
4. PGF2 alfa

Correct answer: 3. Methylergonovine

Explanation: Ergot agents , especially given intravenously, may cause dangerous hypertension, especially in women with preeclampsia. Given parenterally, these drugs rapidly stimulate tetanic uterine contractions and act for approximately 45 minutes.These are used as second line agents after oxytocin to control atonic bleeding.Ref: William's Obstetrics; 25th edition